Diagnostic feature of parathyroid carcinoma is ?
1. Cytology
2. Metastasis
3. Clinical features
4. All

Correct answer: 2. Metastasis

Explanation: Ans. is 'b' i.e., Metastasis There is general agreement that a diagnosis of parathyroid carcinoma based on cytological detail is unreliable, and invasion of surrounding tissues and metastasis are the only reliable criteria". Robbins